Polyneuropathy is seen in -a) Vitamin deficiencyb) Osteoporosisc) DMd) Myxoedemae) Amyloidosis
1. bce
2. acde
3. abcd
4. abde

Correct answer: 2. acde